Following is derivative of dental lamina:
1. Epithelial rests of Malassez
2. Enamel pearls
3. Rests of Serrae
4. All of the above

Correct answer: 3. Rests of Serrae

Explanation: Options 'C' Rests of Serres are remnants of dental laminal epithelium entrapped within gingiva. Option 'A & B' are remnants of Hertwig epithelial root sheath.